Which of the following is a cause of secondary angle closure glaucoma?
1. Pseudophakia
2. Corticosteroid induced
3. Angle recession glaucoma
4. Congenital glaucoma

Correct answer: 1. Pseudophakia

Explanation: (Refer: AK Khurana Comprehensive Ophthalmology, 6th edition, pg no. 249 - 251)Causes of secondary angle closure glaucomaPupillary block: uveitis, pseudophakiaAngle fibrosis: neovascular glaucoma